25 yr old male having fever & malaise since 2 weeks, arthritis of ankle joint and tender erytematous nodules over the shin. Diagnosis is:
1. Erythema nodosum
2. Hansen'sdisease
3. Weber- Christian disease
4. Nodular Vasculitis

Correct answer: 1. Erythema nodosum

Explanation: A i.e. Erythema nodosum